A 44-year-old female presents with recurrent severe headaches and increasing visual problems. Physical examination reveals her blood pressure to be 200/140. Her symptoms are most likely to be associated with
1. Medial calcific sclerosis
2. Hyaline arteriolosclerosis
3. Thromboangiitis obliterans
4. Hyperplastic arteriolosclerosis

Correct answer: 4. Hyperplastic arteriolosclerosis

Explanation: Malignant hypertension refers to dramatic elevations in systolic and diastolic blood pressure often resulting in early death from cerebral and brainstem hemorrhages. Pathologically, the renal vessels demonstrate a concentric obliteration of arterioles by an increase in smooth-muscle cells, and protein deposition in a laminar configuration that includes fibrin material, which leads to total and subtotal occlusion of the vessels. These changes are called hyperplastic arteriolosclerosis. Medial calcific sclerosis (Monckeberg's arteriosclerosis) is characterized by dystrophic calcification in the tunica media of muscular arteries. There is no narrowing of the lumen of the affected vessels Hyaline arteriolosclerosis as seen in diabetes mellitus is presumably caused by leakage of plasma components across the endothelium Thromboangiitis obliterans (Buerger's disease) is occlusion by a proliferative inflammatory process in arteries of heavy cigarette smokers. Hyperplastic arteriosclerosis Reference: Robbins & Cotran Pathologic Basis of Disease, 9edition.